Sparrow marks are seen in ?
1. Gunshot injuries
2. Stab injury of face
3. Vitriolage
4. Windshield glass injury

Correct answer: 4. Windshield glass injury

Explanation: Bizarre shaped multiple lacerations on face from contact of shattered windscreen glass of vehicle are known as sparrow foot (patterned) marks.